Meckel's diverticulum is considered as true diverticula. It arises from:
1. The foregut
2. Caecum
3. Colon
4. Ileum

Correct answer: 4. Ileum

Explanation: Meckel's diverticulum:It is the most prevalent congenital anomaly of the GI tract, affecting approximately 2% of the general population.A 3:2 male-to-female prevalence ratio has been reported. Meckel's diverticula are designated true diverticula because their walls contain all of the layers found in normal small intestine.Their location varies among individual patients, but they are usually found in the ileum within 100 cm of the ileocecal valve.Approximately 60% of Meckel's diverticula contain heterotopic mucosa, of which over 60% consist of gastric mucosa. Pancreatic acini are the next most common; others include Brunner's glands, pancreatic islets, colonic mucosa, endometriosis, and hepatobiliary tissues. Must know:"Rule of twos" of Meckel's diverticula: 2% prevalence, 2:1 female predominance, location 2 ft proximal to the ileocecal valve in adults, and one half of those who are symptomatic are under 2 years of age. Ref: Tavakkolizadeh A., Whang E.E., Ashley S.W., Zinner M.J. (2010). Chapter 28. Small Intestine. In F.C. Brunicardi, D.K. Andersen, T.R. Billiar, D.L. Dunn, J.G. Hunter, J.B. Matthews, R.E. Pollock (Eds), Schwartz's Principles of Surgery, 9e.